Pt with complains of dysphagia can take liquid only and history of smoking and weight loss -
1. Achalesia cardia
2. Barrets esophagus
3. Carcinoma esophagus
4. None

Correct answer: 3. Carcinoma esophagus

Explanation: Ans. is 'c' i.e., Carcinoma esophagus Predisposing factors for Ca Esophaguso For Adenocarcinoma# Chronic gastric reflux (Barrett's esophagus)o For Squamous cell Ca# Alcohol# Cigarette# Mucosal damage from physical agentsLong term ingestion of hot liquidsLye (caustic) ingestionRadiation-induced stricturesChronic achalasia# Other ingested carcinogensNitrates, nitrites, nitrosaminesSmoked opiatesFungal toxins in pickled vegetables# Plummer-Vinson-Paterson-Kelly syndrome (Esophageal Web + glossitis + Iron deficiency)# Tylosis palmaris et plantaris (Congenital hyperkeratosis and pitting of palms and soles)# Human papilloma virus # Esophageal diverticula # Dietary deficiencies of molvbednum, zinc, vitamin A.# Celiac sprue